Maximum congestion is seen in :
1. Choking
2. Hanging
3. Strangulation
4. Drowning

Correct answer: 3. Strangulation

Explanation: C i.e. Strangulation